Claw sign or pincer sign is seen in
1. Ischemic colitis
2. Ileocaecal TB
3. Volvulus
4. Intussusception

Correct answer: 4. Intussusception

Explanation: Other signs in intusucception: Target sign pseudokidney sign coiled spring sign solar eclipse sign